Mild intellectual disability is characterized by
1. IQ : 90 - 109
2. IQ : 70 - 89
3. IQ : 50 - 69
4. IQ : 35 - 49

Correct answer: 3. IQ : 50 - 69

Explanation: Normal : 90 - 109.
Borerline : 70 - 89.
Mild : 50 - 69.
Moderate : 35 - 49.
Severe : 20 - 34.